SA node acts as a pacemaker of the heart because of the fact that it:
1. Is capable in generating impulses spontaneously
2. Has rich sympathetic innervations
3. Has poor cholinergic innervations
4. Generates impulses at the highest rate

Correct answer: 4. Generates impulses at the highest rate

Explanation: The sinoatrial (SA) node normally displays the highest intrinsic rate. All other pacemakers are referred to as subsidiary or latent pacemakers because they take over the function of initiating excitation of the heart only when the SA node is unable to generate impulses or when these impulses fail to propagate. There is a hierarchy of intrinsic rates of subsidiary pacemakers that have normal automaticity: atrial pacemakers have faster intrinsic rates than AV junctional pacemakers, and AV junctional pacemakers have faster rates than ventricular pacemakers. Ref: Chen P., Antzelevitch C. (2011). Chapter 38. Mechanisms of Cardiac Arrhythmias and Conduction Disturbances. In V. Fuster, R.A. Walsh, R.A. Harrington (Eds), Hurst's The Heart, 13e.